Which statement is not true about hallucinations?
1. It is as vivid as a real perception
2. It occurs in inner subjective space
3. It is independent of will of observer
4. It occurs in the absence of any perceptual stimulus

Correct answer: 2. It occurs in inner subjective space

Explanation: Criteria for hallucination Occur in the absence of any object or stimulus Hallucination are as vivid as a real perception Occur in outer and objective space Not in the control of patient Inner & subjective space - pseudo hallucination M/c hallucination - auditory hallucination Tactile hallucination is seen in cocaine intoxication known as cocaine bug or formication or Mangan phenomenon